Early deceleration denotes :
1. Head compression
2. Cord compression
3. Placental insufficiency
4. Fetal distress

Correct answer: 1. Head compression

Explanation: Ans is a i.e. Head compression